Treatment of depression with suicidal tendencies is?
1. Clozapine
2. Mitrazapine
3. ECT
4. Olenzapine

Correct answer: 3. ECT

Explanation: ANSWER: (C) ECTREF: Kaplan synopsis 10th ed p. 557ECT is therapy of choice depression with:Suicidal tendencyPsychomotor retardationPsychotic and delusional features with somatic syndromeIntolerance , contraindication, refractory to drugs